Commonest cause of acute intestinal obstruction is -
1. Adhesions
2. Volvulus
3. Inguinal hernias
4. Internal hernias

Correct answer: 1. Adhesions